The third heart sound is due to:
1. Closure of AV valve
2. Closure of aortic valve
3. Mid diastolic flow in the ventricle
4. Atrial contraction

Correct answer: 3. Mid diastolic flow in the ventricle

Explanation: “A  soft, low-pitched  third sound  is heard about one third of the way through diastole in many normal young individuals.”